Intraocular pressure is increased by which anaesthetic?
1. Ketamine
2. Propofol
3. N20
4. Isoflurane

Correct answer: 1. Ketamine

Explanation: Ans. is 'a' i.e., Ketamine